Ca Wheel sign is seen in:
1. ASOM
2. Glomus
3. OME
4. CSOM

Correct answer: 1. ASOM

Explanation: In ASOM, the TM appears very red and congested. Since the vessels on the TM run radially this hyperaemic appearance is also known as Ca wheel appearance of TM